A 25-year-old male comes to his physician for a follow up visit with weakness of his right hand. Two months ago, he suffered a motor vehicle accident in which his right hand was affected. On examination, he is unable to flex the metacarpophalangeal joints of the ring and index fingers, and is unable to adduct the same fingers. Which of the following muscles are most likely paralyzed?
1. Flexor digitorum profundus
2. Palmar interossei
3. Extensor digitorum
4. Dorsal interossei

Correct answer: 2. Palmar interossei

Explanation: Answer: b) Palmar interosseiMusclesNerve supplyFunctionFlexor digitorum profundusLateral half by median nerve (anterior interosseous nerve); medial half by ulnar nerve Flexes distal interphalangeal joints of the index, middle, ring, and little fingers; can also flex metacarpophalangeal joints of the same fingers and the wrist jointPalmar interosseiUlnar nerveAdduction of the thumb, index, ring, and little fingers at the metacarpophalangeal jointsDorsal interosseiUlnar nerveAbduction of index, middle, and ring fingers at the metacarpophalangeal jointsExtensor digitorumPosterior interosseous nerve Extends the index, middle, ring, and little fingers; can also extend the wrist